Th 1 type of cells are most dependent on -
1. IFN-y
2. IL-4
3. IL-5
4. IL-6

Correct answer: 1. IFN-y

Explanation: Ananthanarayanan and Paniker's textbook of microbiology 9th edition . TH1 cells which produce cytokines , INF Gamma and IL2, which activate macrophage and T cells promoting cell mediated immunity, destruction of the target cells and killing of intracellular pathogens. .